In a patient with history of anencephaly, what is the advise given?
1. Preiconceptional VIT A
2. Folic acid after conception
3. Periconceptional folic acid
4. Vit D as on conception

Correct answer: 3. Periconceptional folic acid

Explanation: Ans. is 'c' i.e., Periconceptional folic acid* Folic acid is given in periconceptional period to prevent neural tube defects (like Anencephaly).Has been explained in previous sessions.